CSF is similar to -
1. Endolymph
2. Perilymph
3. Cortilymph
4. Urine

Correct answer: 2. Perilymph